What is true regarding organ of corti?
1. The organ of Corti is contained within the scala media
2. Endolymph is secreted by cells of the stria vascularis
3. The whole organ of Corti rests on the basilar membrane
4. All

Correct answer: 4. All

Explanation: The organ of Corti, or spiral organ, is the receptor organ for hearing and is located in the mammalian cochlea. This highly varied strip of epithelial cells allows for transduction of auditory signals into nerve impulses' action potential. Ref ganong's review of medical physiology 25e